Atrial natriuretic peptide causes:
1. Increases glomerular filtration rate by acting via mesengel cells
2. Increases the permeability of renal tubules for excretion of sodium ions
3. Vasodilation
4. All of the above

Correct answer: 4. All of the above

Explanation: [D1 (All of the above): Ref: 460-61-G, 364-SL (675- Ganong 23rd)ATRIAL-NATRIURETIC PEPTIDE: secreted by atrial musculature of the heart* ANP increases excretion of sodium ions through urine (natriuresis)* ANP causes dilatation of vessels (vasodilation) and lowering blood pressure* ANP is responsible for escape phenomenon and prevention of edema in primary hyperaldosteronism in spite of increased volume of ECF